Latest method "Gail model'' of risk assessment is for
1. Ovarian ca
2. Prostate ca
3. Breast ca
4. Lung ca

Correct answer: 3. Breast ca

Explanation: Ans. (c) Breast cancer.(Ref Schwartz principles of surgery, 10th ed p-512)Because of the increased risk of breast cancer in US - Gail developed a most commonly used model to predict the cumulative risk of breast cancer. It includes the following factors# Age# Age at menarche# Age at 1st child birth# Number of breast biopsy specimens# History of atypical hyperplasia# Number of 1st degree relatives with breast cancer* A scoring is calculated by a software based on these and predicts the 5 year risk and life time risk of breast cancerFor Extra Edge - Know the other similar models used for cancer breast:# Clauss model# BRCAPRO model# Tyrer-Cuzick model